Aaron's sign is seen in
1. Achlasia cardia
2. Hiatus hernia
3. Mediastinum emphysema
4. Acute appendicitis

Correct answer: 4. Acute appendicitis

Explanation: Ans. is 'd' i.e., Acute appendicitis